A PATIENT WAS ON LITHIUM THERAPY FOR BIPOLAR DISORDER FOR 6MONTHS SHE KEPT THE FAST FOR FEW DAYS .SHE PRESENTED WITH S3 , COARSE TREMORS , CONFUSION AND WEAKNESS OF LIMBS. WHICH OF THE FOLLOWING SHOULD BE DONE NEXT TO ASSESS HER CONDITION ?
1. S.ELECTROLYTES
2. ECG
3. MRI
4. S.LITHIUM LEVELS

Correct answer: 4. S.LITHIUM LEVELS

Explanation: REF : KD TRIPATHI 8TH ED